Acantholytic cells in pemphigus is –
1. Cell with hyperchromatic nuclei and perinuclear halo
2. Cell with hypochromatic nuclei and perinuclear halo
3. Multinucleated cells
4. None of the above

Correct answer: 1. Cell with hyperchromatic nuclei and perinuclear halo

Explanation: Tzanck cells (acantholytic cells) appear as round cells with central, dark, pyknotic, oval nucleus surrounded by pink, condensed cytoplasm, when stained with Giemsa or Leishman's stain.
In simple words Tzank cells are round cells with hyperchronzatic nuclei and perinuclear halo.